All of the following are TRUE about ASO titre, EXCEPT:
1. ASO can be increased in school children
2. May be negative in post streptococcal glomerulonephritis
3. ASO titre included in major criteria in jones criteria
4. May not be elevated in 20% cases of carditis

Correct answer: 3. ASO titre included in major criteria in jones criteria

Explanation: The antistreptolysin O (ASO) titer is the most commonly used streptococcal antibody test to establish a recent streptococcal infection. It is not a major criteria but, supporting evidence of antecedent group A streptococcal infection. An ASO titer of 240 Todd units or higher in adults or 320 Todd units or higher in children is considered modestly elevated. ASO titers above 500 Todd units are uncommon in healthy individuals and therefore would serve as evidence of a recent streptococcal infection. Ref: Jaggi P., Shulman S.T. (2013). Chapter 52. Rheumatic Fever. In J.B. Imboden, D.B. Hellmann, J.H. Stone (Eds), CURRENT Diagnosis & Treatment: Rheumatology, 3e.